Which of the following drug act by stimulating osteoblasts?
1. Teriparatide
2. Raloxifene
3. Risedronate
4. Denosumab

Correct answer: 1. Teriparatide

Explanation: PTH1-34 analogues Teriparatide Abaloparatide - Stimulate osteoblast Strontium Ranelate It is the drug that has dual action Stimulates - blast Inhibits - clast Recently Remosozumab (monoclonal antibody against sclerostin) is approved for osteoporosis that also has dual action. Denosumab - Monoclonal antibody against RANK ligand so osteoclast will not be stimulated. Raloxifene Estrogen receptor agonist action in bone, blood vessels and liver Estrogen receptor antagonist in breast and endometrium Bisphosphanates Alendronate Risedronate Zoledronate Inhibit osteoclast and inhibit bone resorption